Which of the following is ATT drug can be used in patients with hepatic dysfunction
1. Streptomycin
2. INH
3. Pyrazinamide
4. Rifamipicin

Correct answer: 1. Streptomycin

Explanation: Ans:streptomycin Refer KDT 6/e p742, 743 Ethambutol and Streptomycin are first line drugs of ATT They are not Hepatotoxic